Which one of the following is the description used for the term allodynia during pain management?
1. Absence of pain perception
2. Complete lack of pain sensation
3. Unpleasant sensation with or without a stimulus
4. Perception of an ordinarily nonnoxious sitmulus as severe pain.

Correct answer: 4. Perception of an ordinarily nonnoxious sitmulus as severe pain.

Explanation: Ans. is 'd' i.e. Perception of an ordinarily nonnoxious stimuli as severe pain Terms used in pain managementAllodyniaPerception of an ordinarily nonnoxious stimulus as painAnalgesiaAbsence of pain perceptionAnaesthesiaAbsence of all sensationsDysesthesiaUnpleasant or abnormal sensation with or without a stimulusHypalgesiaDiminished response to noxious stimulationHyperalgesiaIncreased response to noxious stimulationHyperaesthesiaIncreased response to mild stimulationHyperpathiaPresence of hyperaesthesia, allodynia and hyperalgesia usually associated with overreaction and persistence of sensation after the stimulusHypoaesthesiaReduced cutaneous sensation (e.g. light touch, pressure or temperature)NeuralgiaPain in the distribution of a nerve or a group of nerves.ParesthesiaAbnormal sensation perceived without an apparent stimulusRadiculopathyFunctional abnormality of one or more roots